Flumazenil is -
1. Diazepam inverse agonist
2. Diazepam antagonist
3. Opioid antagonist
4. Opioid inverse agonist

Correct answer: 2. Diazepam antagonist

Explanation: Ans. is 'b' i.e., Diazepam antagonist